Incubation period of syphilis:
1. 1 hour - 5 hours
2. 24 hours - 48 hours
3. 1 day-10 days
4. 10 days - 90 days

Correct answer: 4. 10 days - 90 days

Explanation: Ans. is 'd' i.e., 10 days-90 daysRef: Ananthanarayan, 9th/e,p 370 and 372; Harrison, 18th/e, p. 381, 382 and 19th/e, p. 1132)IP - 9-90 days